Drug of choice in intractable hiccups is :
1. Metoclopramide
2. Fluoxetine
3. Selegiline
4. Chlorpromazine

Correct answer: 4. Chlorpromazine